Virus causing acute onset sensorineural deafness -a) Corona virusb) Rubella, measlesc) Mumpsd) Adeno viruse) Rota virus
1. a
2. bc
3. ac
4. ad

Correct answer: 2. bc

Explanation: “The most common postnatal cause of acquired SNHL is meningitis, while the most common prenatal cause is intrauterine infection (eg TORCH infections, syphilis, mumps, measles)”.
According to Scotts Browth 7/e, p 3579 – Specific viruses like mumps and syphilis and encephalitis can cause sudden sensorineural hearing loss.